Which of the following is anti-hemophillic factor B?
1. Factor I
2. Factor VIII
3. Factor XI
4. Factor IX

Correct answer: 4. Factor IX